Which of the following local anaesthetics is most likely to produce an allergic reaction –
1. Prilocaine
2. Ropivacaine
3. Etidocaine
4. Benzocaine

Correct answer: 4. Benzocaine

Explanation: There is high incidence of allergic reaction with ester local anesthetics because of para-aminobenzoic acid.
Amongst the given options only benzocaine is an ester.